In injury to head of fibula, all are involved except
1. Common peroneal Nerve
2. Superficial peroneal Nerve
3. Anterior Tibial Nerve
4. Tibial Nerve

Correct answer: 4. Tibial Nerve

Explanation: Tibial nerve (or its parent nerve) is not damaged in injury to the head/neck of fibula. Clinically it is Common peroneal nerve that is injured at this site leading to foot drop. a. Common peroneal nerve is related to the lateral side of the neck of the fibula. b. It gives two branches, which are compromised in this specific injury. i. Dep peroneal (also called anterior tibial) nerve ii. Superficial peroneal nerve c. The superficial peroneal nerve supplies the lateral leg muscles (evertors at sub-talar joint) and supplies almost the entire dorsum of foot, whereas, d. Deep peroneal nerve supplies the anterior leg muscles (extensors of the ankle and toes) and also supplies the dorsum of first interdigital cleft. II. Patient develops high stepping gait in foot drop to prevent dragging of foot on the ground. Tibial nerve supplies the posterior leg (calf) muscles and the sensations over the back of the leg and the sole of the foot. Sural nerve is a branch of tibial nerve and runs along the short saphenous vein and supplies the dorsum of foot along its lateral border (including the little toe). The area over the great saphenous vein is supplied by the branches of femoral nerve, mainly the medial cutaneous branch of thigh and the saphenous nerve in the leg. Altered sensation over the area of great saphenous vein in leg may occur secondary to damaged saphenous nerve, as might occur during venae-section of great saphenous vein. Ref - Gray's Anatomy (40th Ed.) Page 1384,1427